Strategies in National Leprosy Control programme – a) Early detection of casesb) Short course multi drug therapyc) Rehabilitationd) Chemoprophylaxis with dapsonee) All of the above
1. ab
2. abc
3. acd
4. bcd

Correct answer: 2. abc

Explanation: National Leprosy Eradication Programme (NLEP)                                  
National leprosy Control Programme was launched in 1955 by Government of India, as a centrally aided programme to achieve control of leprosy through early detection of cases and dapsone monotherapy on an ambulatory basis.

In 1983 the control programme was redesignated National Leprosy Eradication Programme with the goal of eradicating the disease by the turn of the century.
The aim was to reduce case load to 1 or less than 1 per 10000 population.
Revised strategy (NLEP) was based on

i) Early detection of case
ii)Short term multi-drug therapy
iii) Health education
iv) Ulcer and deformity care
v) Rehabilitation activities

NLEP provided : -


Domiciliary treatment in endemic districts through specially trained staff.
In moderate to low endemic districts, services through mobile leprosy treatment units and primary health care persons.